Most common cause of shunt infection following a Ventriculo-Peritoneal shunt is:
1. Staph aureus
2. Staph epidermidis
3. Strepto viridans
4. Strepto pneumoniae

Correct answer: 2. Staph epidermidis

Explanation: V-P Shunt: Medical device that relieves pressure on the brain by draining the extra CSF from brain into peritoneum. Used to treat Hydrocephalus Major complications of V-P shunt: Occlusion --> characterized by headache, papilledema, emesis, mental status changes. Bacterial infection --> characterized by fever, headache, meningismus. MCC --> Staph epidermidis